Dose of Chloroquine when used for Chemoprohylaxis of Malaria is
1. 300 mg twice/week
2. 600 mg once/week
3. 300 mg Once/week
4. 600 mg/week

Correct answer: 3. 300 mg Once/week